What unfavourable oral sequel is associated with
prolonged use of antibiotics in children?
1. Aphthous ulcers
2. Acute necrotising gingivitis
3. Herpes simplex infection
4. Moniliasis

Correct answer: 4. Moniliasis